The presence of left axis deviation beyond -30deg in electrocardiogram suggests
1. Fossa ovalis ASD
2. Sinus venosus ASD
3. Ostium primum ASD
4. Coronary sinus ASD

Correct answer: 3. Ostium primum ASD

Explanation: The electrocardiogram of ostium secundum ASD is characterized by right axis deviation and right ventricular hypertrophy. The characteristic configuration of the lead Vl is rsR' seen in almost 90% patients. Presence of left axis deviation beyond -30deg suggests ostium primum ASD. Reference: Essential Paediatrics; O.P. Ghai; Page no: 413